Collecting tubules of kidney develop from-
1. Ureteric bud
2. Mesonephric duct
3. Paramesonephric duct
4. Wolffian duct

Correct answer: 1. Ureteric bud